Which of the following has greatest impact on success of
a periodontal flap procedure?
1. Level of postoperative plaque control
2. Level of flap at closure
3. Extent to which flap is reflected
4. Type of incision

Correct answer: 1. Level of postoperative plaque control